Angiography of Choroidal melanoma shows
1. Collar stud appearance
2. Mushroom shape appearance
3. Double circulation
4. None of the above

Correct answer: 3. Double circulation

Explanation: Choroidal melanoma
B-scan ⇒ Collar stud appearance / Mushroom shape appearance
Angiography ⇒ Double circulation